Surinder singh developed acute CHF and was put on digitalis therapy. ECG of this patient revealed the presence of ventricular extrasystoles. Which of the following drugs can be administered safely to this patient in order to counteract this arrhythmia ?
1. Lignocaine
2. Quinidine
3. Atropine
4. Amiodarone

Correct answer: 1. Lignocaine